A child dentist manages an uncooperative child by demonstrating
the procedures on another cooperative child. This way of
child management is
1. Modelling
2. Desensitisation
3. Tell show do
4. Aversive conditioning

Correct answer: 1. Modelling